An extracted tooth is discarded in which bag?
1. Yellow
2. Red
3. Black
4. Blue

Correct answer: 1. Yellow